Number of Milk teeth are
1. 8
2. 16
3. 20
4. 32

Correct answer: 3. 20

Explanation: 20 (Deciduous teeth)